The WHO announced, immunisation is a primary responsibility of -
1. States
2. International community
3. Voluntary agencies
4. An individual

Correct answer: 1. States

Explanation: Ans. is 'a' i.e., States